Casal's paint necklace is seen in?
1. Lichen planus
2. Pellagra
3. Pernicious anemia
4. SLE

Correct answer: 2. Pellagra

Explanation: Pellagra Etiology: Dietary deficiency of nicotinic acid or its precursor tryptophan. People with staple diet - maize and Jowar. Maize is poor source of both nicotinic acid and tryptophan and a part of nicotinic acid is in a bound form that is not assimilated in GIT. Jowar-has high content of leucine.Imbalance between leucine and other related amino acids interferes with conversion of tryptophan to nicotinic acid. Malabsorption Drugs like INH, 5FU, and 6-mercaptopurine. Carcinoid syndrome C/f: Middle aged persons Pellagra:- (Dermatitis,Dementia,Diarrhea,Death) T/t: Niacinamide 300-500mg/day orally in divided doses.